Severe dehydration in an older child occurs when the fluid loss is
1. 1% of body weight
2. 4% of body weight
3. 6% of body weight
4. 9% of body weight

Correct answer: 4. 9% of body weight

Explanation: Signs of mild or moderate dehydration include: Thirst. Dry or sticky mouth. Signs of severe dehydration include: Not peeing or having very dark yellow pee. Very dry skin. Feeling dizzy. Rapid heartbeat. Rapid breathing. Sunken eyes. Sleepiness, lack of energy, confusion or irritability. Fainting. Reference: GHAI Essential pediatrics, 8th edition